Which of the following is/are dangerous injury in forensic science ?
1. Injury causing endanger to life if not treated timely
2. Hearing loss
3. Loss of 2-3 teeth
4. Synonymous with grievous injury

Correct answer: 1. Injury causing endanger to life if not treated timely

Explanation: Ans. is 'a' i.e., Injury causing endanger to life if not treated timely Injuries can be divided into (i) Simple (ii) Grievous and (iii) dangerous.A simple injury is one which is neither extensive nor serious, and which would heal rapidly without leaving any permanent deformity or disfiguration.A grievous injury is one (i) Which is extensive or serious (ii) Which does not heal rapidly, and (iii) Which leaves a permanent deformity or disfiguration.Emasculation (cutting of the penis, castration; or causing loss of power of erection due to spinal injury).Permanent privation of the sight of either eye.Permanent privation of the hearing of either ear .Privation of any member (part, organ, limb) or joint.Destruction or permanent impairing of powers of any member or joint.Permanent disfiguration of head or face.Fracture or dislocation of a bone or a tooth.Any hurt which endangers life or which causes the sufferer to be, during the space of twenty days in severe bodily pain, or unable to follow his daily routine.Section 319 IPC defines hurt as bodily pain, disease, or infirmity, caused to any person.